Oxidation of lactate to pyruvate requires which vitamin ?
1. Riboflavin
2. Niacin
3. Folic acid
4. Biotin

Correct answer: 2. Niacin

Explanation: Ans. is 'b' i.e., Niacin